‘Smoking’ is not associated with the following respiratory lesion
1. Sarcoidosis
2. Chronic bronchitis
3. Emphysema
4. Lung carcinoma

Correct answer: 1. Sarcoidosis